Which of the following lymphomas is associated with HTLV virus infection?
1. Burkitt's lymphoma
2. B-Cell lymphoma
3. Adult T cell leukemia and lymphoma
4. Hodgkin's disease

Correct answer: 3. Adult T cell leukemia and lymphoma

Explanation: HTLV 1 causes adult T-cell leukemia/lymphoma